The syndromic management of urethral discharge includes treatment of:
1. Neisseria gonorrhoeae and herpes genitalis
2. Chalamydia trachomatis and herpes genitalis
3. Neisseria gonorrhoeae and Chlamydia trachomatis
4. Syphilis and chancroid

Correct answer: 3. Neisseria gonorrhoeae and Chlamydia trachomatis

Explanation: Syndrome Organism/Diseases Uretheral discharge/cervical discharge Gonorrhea and Chlamydia Vaginal discharge Candidiasis/ Trichomoniasis/Bacterial Vaginosis Genital ulcer non herpetic Syphilis and Chancroid Genital ulcer non herpetic (allergic to penicillin) Syphilis and Chancroid Genital ulcer herpetic Herpes Lower abdominal pain(P.I.D) Gonorrhea/Chlamydia/Anaerobes/mycoplasma hominis Inguinal bubo LGV and Chancroid